Several children in the summer Camper hospitalized which symptoms thought to be due to injection of food containing botulinum toxin. The effect of botulinum toxin are likely to include
1. Bronchospasm
2. Cycloplegia
3. Diarrhea
4. Skeletal muscle spasms

Correct answer: 2. Cycloplegia

Explanation: Ref-KDT 6/e p93 Botulinum toxin inteeres with the release of ACh and thus acts as a parasympatholytic agent. Bronchospasm and diarrhoea are the symptoms of muscarinic stimulation whereas muscle spasms may be seen on nicotinic. stimulation. Cholinergic drugs cause cyclospasm whereas anticholinergics result in cycloplegia.